Expansile lytic osseous metastases are characteristic of primary malignancy of:
1. Kidney
2. Bronchus
3. Breast
4. Prostate

Correct answer: 1. Kidney

Explanation: Bone expansion is virtually limited to lytic metastases from carcinomas of the kidney, thyroid, and lung. Less commonly melanoma, carcinoma of bronchus breast and pheochormocytoma may also present with expansile lytic lesions. Ref: Differential Diagnosis in Computed Tomography By Francis Burgener, Christopher Herzog, 2011, Preview; Imaging of Kidney Cancer By Ali Guermazi, 2005, Page 103.